Fingerprint Bureau was first established in:
1. England
2. China
3. India
4. Singapore

Correct answer: 3. India

Explanation: C i.e. India